True about genomic imprinting -
1. Different expression of gene depending on parent of origin
2. Prader-Willi syndrome is maternal deletion of chromosome 15
3. Angelman syndrome is due to paternal deletion of chromosome 15
4. Uniparental disomy is other name of genomic imprinting

Correct answer: 1. Different expression of gene depending on parent of origin

Explanation: Ans. is 'a' i.e., Different expression of gene depending on parent of origin The expression of disease depending on whether the functional gene is inherited from the male or female parent (one parent only) is termed as genomic imprinting. The phenomenon referred to as genomic imprinting leads to pereferential expression of an allele depending on its parental origin. o Deletion on paternal chromosome 15 results in Prader Willi syndrome and deletion on maternal chromosome 15 results in Angelman syndrome. o Genomic imprinting and uniparental disomy are not synonyms (see previous explanations).